Confirmatory test for syphilis:
1. VDRL
2. FTAABS
3. RPR
4. None

Correct answer: 2. FTAABS

Explanation: Ans. is 'b' i.e., FTAABS(Ref: Ananthanarayan, 9th/e, p. 370, 375 and 8th/e, p. 375-377; Harrison, 19th/e, p. 1132)* Treponemal or specific tests for syphilis - detects specific Abs against T. pallidum Ag - FTA - ABS, Agglutination assays (MHA-TP, TPHA, TPPA), TPI (dark ground microscope is required for observing immobilization).